A female child presents with vaginal bleeding for 4 days after birth, what is to be done?
1. Wait and watch
2. Estrogen
3. Bleeding time
4. Factor deficiency screening

Correct answer: 1. Wait and watch

Explanation: ANSWER: (A) Wait and watchREF: Shaw 13th ed p. 48Repeat from December 2009"Vaginal bleed may be noticed in neonates in first week, it is due to withdrawal of maternal estrogen circulating in the newborn circulation. No treatment is needed except for reassurance"